The chemical nature of the amyloid deposited in immunocyte dyscrasias with amyloidosis is
1. Serum amyloid A (SAA)
2. Immunoglobulin light chain (AL amyloid)
3. Prealbumin
4. Beta 2 microglobulin

Correct answer: 2. Immunoglobulin light chain (AL amyloid)